Fastest acting antithyroid drugs ?
1. Iodides of Na/ K
2. Propylthiuracil
3. Methimazole
4. Nitrates

Correct answer: 1. Iodides of Na/ K

Explanation: Ans. is 'a' i.e., Iodides of Na Iodine and Iodides Iodine is the fastest acting thyroid inhibitor Most important action is inhibition of hormone release (thyroid constipation); but all facets of thyroid synthesis may be affected. Excess iodide inhibits its own transport in thyroid cells and may alter the redox potential of cells, thus interfering iodination - reduced T4/T3 synthesis (Wolff-chaikoff effect).